In tissue, Coccidioides immitis produces
1. Spherules and endospores
2. Encapsulated yeast cells
3. Fine, delicate hyphae
4. Coarse, septate hyphae

Correct answer: 1. Spherules and endospores

Explanation: Coccidioides immitis is a dimorphic fungus. Yeast form is a spherule filled with endospores. Mycelial phase contains pseudohyphae, which fragments into ahrospores. Ref: Textbook of Microbiology, Ananthanarayan and Paniker; 9th edition